Which of the following is the nucleus for upward gaze?
1. Paramedian pontine reticular formation
2. Nucleus Raphe Magnus
3. Cuneiform nucleus
4. Nucleus of Cajal

Correct answer: 4. Nucleus of Cajal

Explanation: Centre concerned with upward gaze are :- Rostral interstitial nucleus of medial longitudinal fasciculus Interstitial nucleus of Cajal Posterior commisure Paramedian pontine reticular formation(PPRF) is the centre for horizontal gaze.